A patient present with diabetic macular edema with glaucoma. Which of the following drug should be avoided for this patient?
1. Alpha agonist
2. Acetazolamide
3. Beta blockers
4. Prostaglandin analogues

Correct answer: 4. Prostaglandin analogues

Explanation: PG analogues can cause cystoid macular edema. Therefore, these should be avoided in a patient already having macular edema. Important adverse effects of anti-glaucoma drugs PG analogues Latanoprost Bimatoprost Heterochromia iridis, hypertrichosis, Cystoid macular edema, worsening of uveitis Alpha 2 agonists Apraclonidine Lid retraction Brimonidine CNS suppression in infants Non selective alpha agonist Epinephrine Black conjunctival pigmentation Miotics Pilocarpine Physostigmine Cataract, Stenosis of NLD, Worsening of uveitis Carbonic anhydrase inhibitors Acetazolamide Dorzolamide Brinzolamide Corneal edema